A person of 60 years age is suffering from myositis ossificans progressive. The usual cause of death would be:
1. Nutritional deficiency
2. Bed sore
3. Lung disease
4. Septicemia

Correct answer: 3. Lung disease

Explanation: C i.e. Lung disease